In which of the following conditions splenctomy is not useful?
1. Herediatary spherocytosis
2. Porphyria
3. Thalassemia
4. Sickle cell disease with large spleen

Correct answer: 2. Porphyria